Structures passing through obturator foramen are all except -
1. Obturator nerve
2. Obturator artery
3. Obturator vein
4. Internal pudendal vessels

Correct answer: 4. Internal pudendal vessels

Explanation: Through the canal the obturator artery, obturator vein and obturator nerve pass out of the pelvis.